Germ tube test is done for:
1. Chlamydia
2. Candida albicans
3. Bacterial vaginosis
4. Neisseria gonorrhoeae

Correct answer: 2. Candida albicans

Explanation: Ref: Textbook of Diagnostic Microbiology, E-book, P 634* A germ tube test is a diagnostic test in which a sample of fungal spores are suspended in serum and examined by microscopy. It is particularly indicated for colonies of white or cream color on fungal culture.* A positive germ tube test is strongly indicative of Candida albicans. This test also helps to differentiate between Candida albicans and non-albicans Candida (germ tube test negative).